Which of the following vitamin deficiency causes pellagra?
1. Thiamine
2. Ascorbic acid
3. Nicotinic acid
4. Cyanocobalamine

Correct answer: 3. Nicotinic acid

Explanation: Ans. c (Nicotinic acid). (Ref. Harrison, Medicine, 14th ed., 463)NIACIN# Function: CoA enzyme in redox reactions.# 1 mg of niacin is formed from 60 mg of tryptophan.# Deficiency: Pellagra (diarrhea, dermatitis, dementia and death if untreated).# Hartnup disease, malignant carcinoid syndrome and INH therapy may also cause niacin deficiency.